ICDS scheme does not include –
1. Children in the age group of 0–6 years
2. Primary school children
3. Pregnant women
4. Lactating women

Correct answer: 2. Primary school children